Endodermal sinus tumour is characterized by -
1. Schiller-Duval body
2. Psammoma body
3. Call-Exner bodies
4. Homer-Wright rosettes

Correct answer: 1. Schiller-Duval body